In case of brain injury, laceration occurs, which is most severe on the side opposite to that of the injury, this type of injury is known as:
1. Laceration.
2. Contrecoup injury.
3. Contusion.
4. Concussion.

Correct answer: 2. Contrecoup injury.